The mandibular foramen transmits which of the following nerve ?
1. superior alveolar nerve
2. inferior alveolar nerve
3. middle alveolar nerve
4. lingual nerve

Correct answer: 2. inferior alveolar nerve

Explanation: The mandibular foramen lies a little above the centre of the ramus at the level of the occlusal surfaces of the teeth. It leads into the mandibular canal which descends into the body of the mandible and opens at the mental foramen. The inferior alveolar nerve and vessels enter the, mandibular canal through the mandibular foramen, and run forwards within the canal. Ref : B D Chaurasia's Human Anatomy , seventh edition , volume 3 , pg . no., 32, 33.